A convict whose family or relations were not known and no biological sample was available with jail authorities, escaped from the jail. A dead body resembling the convict was found in nearby forest, but due to mutilation of face, identity could not be established. The positive identity that he is the same convict who escaped from jail can be established by:
1. Blood Grouping
2. DNA Profile
3. Anthropometry
4. HLA typing

Correct answer: 3. Anthropometry

Explanation: As the suspected deceased convict doesn't have any family relatives, therefore, DNA Profile & HLA typing as a tool of identification is ruled out. As there is no biological sample blood grouping is not possible. Therefore victim's anthropometrical measurements like body weight, height, limb lengths, head circumference etc, can be used for identification. Ref: The Essentials of Forensic Medicine and Toxicology By K S Narayan Reddy, 27th Edition, Pages 75, 76